Hyperplasia of smooth muscle of airway is seen in?
1. Emphysema
2. Asthama
3. Alvelor proteinosis
4. Bronchiectasis

Correct answer: 2. Asthama

Explanation: Asthma is a chronic Inflammatory disease of the airways. Repeated bouts of inflammation leads to structural changes in the bronchial wall collectively called as airway remodelling. These changes include hypertrophy of bronchial smooth muscle and mucus glands and deposition of subepithelial collagen. Robbins basic pathology 9th edition page no 468 ref img